Preterm Neonate target oxygen saturation is ?
1. 91-95 %
2. > 95%
3. 85-89%
4. <80%

Correct answer: 1. 91-95 %

Explanation: *Warm humidified oxygen should be provided at a concentration initially sufficient to keep arterial oxygen pressure between 50 and 70 mm Hg (91-95% saturation) in order to maintain normal tissue oxygenation while minimizing the risk of oxygen toxicity.Hyperoxia may also contribute to lung injury in preterm infants. However, a lower target range of oxygenation (85-89%), as compared with a higher range (91-95%) increases mortality, and does not alter rates of BPD, BPD/death, blindness, or neurodevelopmental impairment. Therefore, the currently recommended range of oxygen saturation targets is 91-95%. Ref : Nelson 9 thedition pg 854